IQ of a normal person is
1. 70-79
2. 80-89
3. 90-109
4. 110-119

Correct answer: 3. 90-109

Explanation: Idiot: 0-24Imbecile: 25-49Moron: 50-69Borderline: 70-79Low normal: 80-89Normal: 90-109Superior: 110-119Very superior 120-139Near genius 140 and over Park 23e pg: 679